Stage of Hodgkins lymphoma with right sided neck nodes and left inguinal node without fever -
1. Ia
2. IIa
3. IIIa
4. IVa

Correct answer: 3. IIIa

Explanation: According to Ann Arbor staging Classification of Hodgkin's disease, Stage 3 A includes involvement of lymph node regions on both sides of the diaphragm & is asymptomatic .

Reference:Harsh mohan textbook of pathology sixth edition pg no 372.